A person after 6 hr. of consuming rice pudding in restaurant develops vomiting. True statements regarding food poisoning-
1. Caused by staphylococcus aureus
2. Preformed toxin
3. Caused by vibrio parahaemolyticus
4. Heat labile toxin

Correct answer: 2. Preformed toxin

Explanation: Ans. is 'b' i.e., Preformed toxin . Vomiting within 6 hours of ingestion of rice suggests the diagnosis of emetic type of food poisoning caused by B. cereus. . It caused by preformed heat stable enterotoxin. . In emetic form, B. cereus is not found in large numbers in fecal specimens. Therefore food sample is more useful.